C-ANCA positivity indicates, antibody formed against
1. Proteinase 3
2. Myeloperoxidase
3. Cytoplasmic antinuclear antibody
4. Anti centromere antibody

Correct answer: 1. Proteinase 3

Explanation: C-ANCAs, or PR3-ANCA, or Cytoplasmic antineutrophil cytoplasmic antibodies, are a type of autoantibody, an antibody produced by the body that acts against one of its own protein . PR3 is the most common antigen target of ANCA in patients with granulomatosis with polyangiitis. Ref - Researchgate.net